Advantage of desmopressin over vasopressin in the treatment of diabetes insipidus is that desmopressin :
1. Causes less formation of factor VIII
2. Causes less hypernatremia
3. Is more selective for V2 receptor subtype
4. Provides greater relief of excessive thirst the patient is experiencing

Correct answer: 3. Is more selective for V2 receptor subtype